Best site for collection of specimen for Neisseria meningitidis is
1. Oral swab
2. Nasal swab
3. Nasopharyngeal swab
4. Skin lesions

Correct answer: 3. Nasopharyngeal swab

Explanation: Meningococci is a strict human parasite inhabiting the nasopharynx. The human nasopharynx is the only reservoir of the Meningococcus. Asymptomatic nasopharyngeal carriers rarely contract the illness but serve right infect their contacts, so the best specimen to be collected for Neisseria meningitidis is nasopharyngeal swab. Reference: Textbook of Microbiology; Anathanarayan and panicker's; 10th edition; Page no: 232